The development of secondary vitreous, the major contributor to the adult vitreous is from which of the embryonic layers?
1. Ectoderm
2. Endoderm
3. Mesoderm
4. All

Correct answer: 1. Ectoderm

Explanation: The development of vitreous body and zonule comprises the development of primary vitreous, secondary vitreous, and tertiary vitreous. The primary vitreous is both mesodermal and ectodermal in origin. The lens cells and the retinal cells contribute the ectodermal part in the formation of primary vitreous. The mesodermal component of primary vitreous is contributed by hyaloid vascular system. Eventually the primary vitreous is restricted to the area of Cloquet's canal when mesodermal elements atrophy. The secondary vitreous is the chief contributor to formation of adult vitreous body and is derived completely from the neural ectoderm. The secondary vitreous is composed of fine dense undulating fibers which arise from the developing retina. The progressive growth of the secondary vitreous causes cessation of growth of the primary vitreous. The tertiary vitreous develops into zonular fibres (suspensory ligament) during the fourth month of gestation. It is derived from the inner neural ectodermal layer of the developing ciliary body. Ref: Clinical Opthalmology By Kalevar V, 2008, Page 268 ; Yanoff & Ducker Ophthalmology, 2nd edition, Page 22-23 ; Parson, 20th edition, Page 5 ; Khurana, 4th edition, Page 10